Alcoholic patient feels like insects running over him, it is known as-
1. Formication
2. Delusion
3. Dementia
4. Delirium

Correct answer: 1. Formication

Explanation: Ans. is 'a' i.e., Formication Tactile hallucination/hantic hallucination (Hallucinations of touch)o Cutaneous perception may very vague tingling or sensations of temperature of perceptions experienced as being held, hit or caressed.o Tactile hallucinations are seen in schizophrenia.o A special type of tactile hallucination, i.e., formication, where there is perception of insect carwling under the skin, is characterstic of cocaine poisonning and may also occur in alcohol withdrawal